Structures present in right free border of lesser omentum are all except
1. Portal vein
2. Hepatic artery
3. Hepatic veins
4. Common bile duct

Correct answer: 3. Hepatic veins

Explanation: The lesser omentum (gastrohepatic ligament) is the double layer of peritoneum that extends from the liver to the lesser curvature of the stomach and the start of the duodenum. Between the two layers of the lesser omentum, close to the right free margin, are the common bile duct, the hepatic artery, the portal vein (DAV anterior to posterior), lymphatics, and the hepatic plexus of nerves-- all these structures being enclosed in a fibrous capsule (Glisson's capsule).